Lisker's sign is seen in?
1. DVT
2. Berger's disease
3. Coarctation of aorta
4. AV fistula

Correct answer: 1. DVT

Explanation: Ans. A. DVTLisker's sign is tenderness when the front, middle (anterior medial) part of the tibia is tapped (percussion). It is often present in people who have blood clots in their legs (deep venous thrombosis).